Which is true about carotid stenosis -
1. Ipsilateral hemiplegia by embolism of MCA
2. Bruit indicates severity of steno sis
3. Common in External carotid artery
4. Aspirin reduces risk of TIA

Correct answer: 4. Aspirin reduces risk of TIA